Unconjugated hyperbilirubinemia with increased urobilinogen in -
1. Hemolytic anemia
2. Liver cirrhosis
3. Bile duct obstruction
4. Sclerosing cholangitis

Correct answer: 1. Hemolytic anemia

Explanation: In all uncomplicated hemolytic anemias,the excess serum bilirubin is unconjugated.The level of hyperbilirubinemia depends on functional capacity of liver & the rate of hemolysis. When liver is normal jaundice is rarely severe . Excessive bilirubin excreted by liver into GIT leads to increased formation and fecal excretion of urobilin ie increased urobilinogen Ref : Robbin 9/e pg 632